What is March fracture ?
1. Fracture of 2nd metatarsal
2. Fracture of 4th metatarsal
3. Fracture of cuboids
4. Fracture of tibia

Correct answer: 1. Fracture of 2nd metatarsal

Explanation: Most common site for march fracture is 2nd metatarsal followed by third metatarsal.